Muscle not paralysed in retrobulbar block
1. Superior oblique
2. Lateral rectus
3. Superior rectus
4. Medial rectus

Correct answer: 1. Superior oblique

Explanation: Answer- A. Superior obliqueA retrobulbar block is a regional anaesthesic nerve block in the retrobulbar space, the area located behind the globe ofthe eye. Injection oflocal anaesthesic into this space constitutes the retrobulbar block.Cranial nerve IV lies outside the muscle cone,but is blocked by diffusion of the local anaesthetic.Superior oblique is supplied by cranial nerve IV.